Phelps sign is seen in
1. Glomus jugulare
2. Vestibular Schwannoma
3. Menniers disease
4. Neurofibromatosis

Correct answer: 1. Glomus jugulare

Explanation: Phelps sign is the loss of crust of bone between the carotid canal and jugular bulb in glomus jugulare as seen in CT scan. Ref: Dhingra 7th edition pg.122